The 1st sign of TB is:
1. Narrowing of intervertebral space
2. Rarefaction of vertebral bodies
3. Destruction of laminae
4. Fusion of spinous processes

Correct answer: 1. Narrowing of intervertebral space

Explanation: (a)- The earliest feature is loss of curvature due to paravertebral spasm.- The next radiological feature of spinal tuberculosis is reduction of intervertebral disk space and osteoporosis of two adjacent vertebrae sometimes with fuzziness of the endplates.